Similar features between cerebral abscess and cerebral infarct -
1. Coagulative necrosis
2. Liquefactive necrosis
3. Heal by collagen formation
4. lways develop from emboli from other site

Correct answer: 2. Liquefactive necrosis

Explanation: Causes of acquired cerebral palsy may include1,2: Brain damage in the first few months or years of life. Infections, such asmeningitis or encephalitis. Problems with blood flow to the brain due to stroke, blood clotting problems, abnormal blood vessels, a heart defect that was present at birth, orsickle cell disease. A cerebral infarction is an area of necrotic tissue in the brain resulting from a blockage or narrowing in the arteries supplying blood and oxygen to the brain Refer robbins 1258 and 1263